All are true of Henoch Scholein' s purpura, except
1. Thrombocytopenia
2. Abdominal pain
3. Arthritis
4. GI bleed

Correct answer: 1. Thrombocytopenia

Explanation: Answer is A (Thrombocytopenia) : Purpura in 'Henoch Shonlein purpura' is due to vasculitis and not thrombocytopenia.